All of the following statements about Glanders are false except
1. It is an acute illness which presents will mild upper respiratory tract symptoms, usually self limited
2. Glanders is caused by Brucella
3. Human infection cannot be acquired from infected animals
4. Belongs to class B bioterrorism agents according to CDC

Correct answer: 4. Belongs to class B bioterrorism agents according to CDC

Explanation: Option 1 - presents in 3 forms nasal, pulmonary and cutaneous . Fatal if not treated Option 2 - Glanders is caused by Burkholderia Mallei a Gram negative, non-motile,non-encapsulated and non-spore-forming bacillus Option 3 - The bacteria are transmitted to humans through contact with tissues or body fluids of infected animals. They enter cuts or abrasions in the skin and through mucosal surfaces such as the eyes and nose. Option 4 - true it belongs to class B If not treated can be fatal in 7-10 days. Rx includes tetracyclines, fluoroquinolones, sulfonamides. Molecular methods- PCR, Elisa preferred for diagnosis. Mallein test - Cell mediated immunity (not commonly done )